Risk factors for malignant change in an asymptomatic patient with a gall bladder polyp on ultrasound include all of the following, Except
1. Age > 60 years
2. Rapid increase in size of polyp
3. Size of polyp > 5 mm
4. Associated Gall stones

Correct answer: 3. Size of polyp > 5 mm

Explanation: Size of polyp > 5mm Repeat .from All India 09 "Risk factors associated with malignancy are age older than 60 years, coexistence of gallstones, a documented increase in size, and size larger than 10 mm. All patients with symptomatic polyploid lesions of the gallbladder should undergo laparoscopic cholecystectomy. Any patient with risk factors or a suspicion of in situ or frank adenocarcinoma should undergo open cholecystectomy. Lesions smaller than 10 mm that are asymptomatic and without ultrasound features of neoplasia may be safely observed with follow-up imaging."- Sabiston 18/e p1579 Risk factors associated with malignancy in gall bladder polyps include: - Old age (>60 years). - Coexistence of gall stones. - A documented increase in size. - Size greater than 10 mm.